Bhopal gas tragedy was caused by?
1. MIC
2. Sulphur dioxide
3. Hydrocarbons
4. CFC

Correct answer: 1. MIC

Explanation: Bhopal gas tragedy in India is a sudden disaster occurred on 3rd December 1984, in which leakage in the storage tank of union carbide pesticide plant released tons of methyl isocyanate into the air. About 2 million people were exposed to gas leaving about 3000 dead . people are still suffering from the adverse effects of the gas.